Agranular cytoplasmic reticulum is involved in the synthesis of
1. Protein
2. Lipid
3. Vitamin
4. Carbohydrate

Correct answer: 2. Lipid

Explanation: Ans. is 'b' i.e. lipid [Ref: Guyton 11/e, p 20, 21; Chatterjee Shinde 6/e, p 6, 71There are two kinds of endoplasmic reticulum :Rough or granular ER or ergastoplasmThey are coated with ribosomesFunction of rough ERprotein synthesisSmooth or agranular ERThey do not have attached ribosomesFunctions of smooth ERlipid synthesismodification and transport of protein synthesized in rough ERprovides the enzymes that control glycogen breakdown when glycogen is to be used for energyprovides a vast number of enzymes that are capable of detoxifying substances, such as drugs, that might damage the cell